Based on Bokenkamp's grading of enlargements, an enlargement covering 3/4th of the crown is considered as
1. Grade I
2. Grade II
3. Grade III
4. Grade IV

Correct answer: 3. Grade III